Diffuse peritonitis following appendicitis is usually seen -
1. When appendicular perforation occurs early (within 24 hours)
2. When perforation occurs late (after 24 hours)
3. Particularly in non-obstructive appendicitis
4. When antibiotics are withheld

Correct answer: 1. When appendicular perforation occurs early (within 24 hours)

Explanation: In late stages greater omentum and small bowel become adherent to inflamed appendix, walling off the spread of peritoneal contamination